About Burkitt's lymphoma, true is-
1. CD34 + ve & Surface Ig +ve
2. CD34 + ve & Surface Ig -ve
3. CD34 - ve & Surface Ig -ve
4. CD34 - ve & Surface Ig +ve

Correct answer: 4. CD34 - ve & Surface Ig +ve

Explanation: Burkitt's lymphoma is a tumor of mature B cells that express surface IgM, CD19, CD20, CD10, and BCL6, a phenotype consistent with a germinal center B-cell origin.
Unlike other tumors of germinal center origin, Burkitt lymphoma almost always fails to express the antiapoptotic protein BCL2 (This information has been added in 8th of Robbin's)